A patient with swelling foot, pus discharge, multiple sinuses. KOH smear shows filamentous structures. Diagnosis is:
1. Osteomyelitis
2. Madura mycosis
3. Anthrax
4. Actinomycosis

Correct answer: 2. Madura mycosis

Explanation: Madura Mycosisis an example of superficial fungal infection. It consists of multiple species. Swelling with multiple discharging sinus Over mandible (or head - neck region) - Actinomycosis On Foot-Madura foot/Madura mycosis.